What is the most common type of conjoined twin?
1. Craniopagus
2. Thoracopagus
3. Ischiopagus
4. Pygopagus

Correct answer: 2. Thoracopagus

Explanation: Conjoined twins or Siamese twins are monozygotic twins, formed when the twinning of the embryo occurs after 12 days of fertilization. Thoracopagus- fusion of thorax (most common type) Xiphopagusoromphalopagus- fusion of anterior abdominal wal Pygopagus- posterior fusion Ischiopagus - caudal fusion Craniopagus- fusion of cranium Rachipagus- dorsal fusion 6